Duodenal blow out is usually seen at which day of the post operative period?
1. 4th
2. 11th
3. 2nd
4. 7th

Correct answer: 1. 4th

Explanation: Ans: a (4th day)Duodenal blow out usually occurs between 2-7 days of surgery, more specifically on the 4th.It presents as abdominal pain, tachycardia, worsening of the general condition of the patient.It usually occurs after Billroth -II gastrectomyManagement:Total parenteral nutrution is given, catheter is placed immediately below the right costal margin and the electrolytes are replenished.Billroth I:Billroth IILower half of the stomach removed and is anastomosed to the Ist part of duodenum2/3rd of the stomach is removed; duodenal stump is closed and stomach is anastomosed to the jejunum.